Which of the following layers of epidermis is known as "prickle layer"?
1. Stratum basale
2. Stratum spinosum
3. Stratum granulosum
4. Stratum corneum

Correct answer: 2. Stratum spinosum

Explanation: Ans. B. Stratum spinosumStratum spinosum is also called as the prickle cell layer.* Stratum spinosum consists of intercellular attachments, also called desmosomes.* These desmosomes appear like spines on microscopy; hence, it is called as the prickle layer.* Their spiny (Latin, spinosum) appearance is due to the shrinking of the microfilaments between desmosomes that occurs when stained with H&E.